True about H. pylori is -
1. Vacuolating cytotoxin
2. Antiurease antibody detection specific for type I
3. Found in the jejunum
4. Treatment is Al(OH)2

Correct answer: 1. Vacuolating cytotoxin